Jumping gene is
1. Transposon
2. Episome
3. Cosmid
4. Plasmid

Correct answer: 1. Transposon